Locard's Prinicple is concerned with:
1. Theory of exchange
2. Criminal responsibility
3. Calculating age of fetus
4. Firearm wounds of skull

Correct answer: 1. Theory of exchange

Explanation: Locard's Principle is considered with Theory of exchange. Locard's Exchange Principle Locard's exchange principle states that when any two objects come into contact, there is always transfer of material from each object on to the other. This principle is often used as a sure proof of crime. Option A Principle/Rule concerned with Theory of exchange Locard's Exchange Principle Option B Principle/Rule concerned with criminal; responsibility for insane Mc. Naughten rule Durham's rule Curren's rule Brawer rule Option C Principle/Rule concerned with calculating the age of fetus Rule of Hasse Option D Principle/Rule concerned with firearm wounds of skull Puppe's Rule Ref: APC Essentials of Forensic Medicine and Toxicology by Anil Aggarwal